Saturnism is to:
1. Chronic arsenic poisoning
2. Chronic lead poisoning
3. Chronic mercury poisoning
4. Chronic iron poisoning

Correct answer: 2. Chronic lead poisoning

Explanation: Ref. Textbook of forensic medicine. Krishnan Vij. Page. 470
 
Chronic Poisoning (Plumbism, Saturnism or Saturnine Poisoning)

Chronic lead poisoning may occur in the industrial environ- ment due to inhalation of lead dust or lead vapour arising from burning of paints, battery
Chronic poisoning may also result from the mobilisation of lead already stored in the body.
Chronic lead poisoning is manifested by facial pallor, anaemia, basophilic stippling of red cells, blue line in the gum, retinal stippling and in the later phase by colic, con- stipation, palsy, encephalopathy, disturbance of genito-urinary and cardiovascular system.